Primary impact injury to brain:
1. Concussion
2. Cerebral edema
3. Hypoxic injury
4. Intracerebral hematoma

Correct answer: 1. Concussion

Explanation: Ans. Concussion